Thurston-Holland sign/fragment is seen in:
1. Oblique fracture of lower 1/3rd humerus
2. Reverse oblique fracture of intertrochanteric femur
3. Salter Harris type II fracture
4. Coronal fracture of femoral condyles

Correct answer: 3. Salter Harris type II fracture

Explanation: Ans. C i.e. Salter Harris type II fracture